How is Ammonia removed from the brain predominantly?
1. Asparagine
2. Alanine
3. Glutamine
4. Cysteine

Correct answer: 3. Glutamine

Explanation: Glutamine is a storehouse of NH3. It is present at the highest concentration (8 mg/dl in adults) in blood among the amino acids. Glutamine serves as a storage and transport form of NH3. Its synthesis mostly occurs in liver, brain and muscle. Ammonia is removed from the brain predominantly as glutamine. Glutamine is freely diffusible in tissues, hence easily transported.